Hallucinations are seen in all except -
1. Schizophrenia
2. Seizure due to intracerebral space occupying lesions
3. LSD
4. Anxiety

Correct answer: 4. Anxiety

Explanation: Anxiety and other neurotic disorders do not cause hallucination.